An anatomic structure which has a worm-hole radiolucency is characteristic of
1. Maxillary sinus
2. Mandibular canal
3. Nutrient canal
4. Mental foramen

Correct answer: 3. Nutrient canal